Degloving is seen in
1. Hanging
2. Rigor mortis
3. Mummification
4. Putrefaction

Correct answer: 4. Putrefaction

Explanation: Decomposition changes Discoloration: Greenish discoloration in the lower abdominal quadrants. Distension: Various gases produced during decomposition permeate into skin, soft tissue and organs which manifests as distension. Degradation: Decomposition causes a loss of anatomic integrity of skin and other tissues such as localized peeling of skin ('skin slippage'), loosening of skin of hands and feet ('degloving') and loosening of hair and nails. Dissolution: Progressive decomposition leads to liquefaction and disappearance of tissues and organs, and eventual skeletonization. Degloving